Palpatory thud, audible slap is seen in -
1. Tracheal foreign body
2. Bronchial foreign body
3. Laryngeal foreign body
4. None

Correct answer: 1. Tracheal foreign body

Explanation: Ans. is 'a' i.e., Tracheal foreign body o A foreign body in trachea may move up and down the trachea between the carina andd the undersurface of the vocal cords causing "audible slap" and "palpatory thud". o Symptoms and signs of foreign bodies at different levels :# Larynx# Trachea